Pulsus paradoxus is present in all Except:
1. Emphysema
2. Pulmonary embolism
3. Hypovolemic shock
4. Hypertrophic cardiomyopathy

Correct answer: 4. Hypertrophic cardiomyopathy

Explanation: Answer is D (Hypertrophic cardiomyopathy) Pulsus paradoxus is not a feature of Hypertrophic cardiomyopathy. Pulsus paradoxus may be associated with chronic obstructive pulmonary disease (emphysema), pulmonary embolism and Hypovolemic shock.